Symptoms suggestive of Scarlet fever are all except:-
1. Gooseflesh
2. Nagayama spots
3. Desquamation of palms
4. Strawberry tongue

Correct answer: 2. Nagayama spots

Explanation: Scarlet fever: Caused by Group A streptococcus Pharyngitis and strawberry tongue is seen Erythematous rash appears 24-28 hr after onset Pastia lines or Thompson's sign is pathognomonic of scarlet fever. Skin has a goose-pimple appearance and feel rough Desquamation of palms and soles seen Nagayama spots: in Roseola infantum